A 5–year old child is assessed to have a developmental age of one year. His developmental quotient would be –
1. 100
2. 80
3. 60
4. 20

Correct answer: 4. 20